Gallbladder contraction is stimulated by
1. Gastrin
2. Secretin
3. Vagus
4. Cholecystokinin

Correct answer: 4. Cholecystokinin

Explanation: Actions of CCK
-        Stimulates pancreatic enzymes secretion.
-        Stimulates enterokinase secretion.
-        Stimulates insulin secretion.
-        Stimulates glucagon secretion.
-        Potentiates Secretin
-        Increases pyloric sphincter tone.
-        Inhibits gastric emptying
-        Stimulates gall bladder contraction
-        Stimulates small intestinal and colonic motility
-        Relaxes lower esophageal sphincter
-        Trophic effect on the pancreas